All conditions mimicking anxiety disorders EXCEPT
1. Temporal lobe epilepsy
2. Hypothyroidism
3. Pheochromocytoma
4. Myocardial Infarction

Correct answer: 2. Hypothyroidism

Explanation: (Hypothyroidism) (915-CMDT-09) (98-NA 6'h)* Myocardial infarction, Pheochromocytoma, hyperthyroidism and various recreational drug reactions can mimic panic disorders. Mitral valve prolapse may be present but is not usually a significant factor. Patients who have recurrent panic disorder often become demoralized, hypochondriacal, agoriaphobic and depressed (1013-CMDT-05)